Avascular coat in eye is -
1. Sclera
2. Cornea
3. Retina
4. Choroid

Correct answer: 2. Cornea

Explanation: Cornea is a transparent,avascular,watch glass like structure.It forms anterior one sixth of the outer fibrous coat of eyeball. Reference:Comprehensive Opthalmology,AK Khurana,6th edition,pg no.95